In a community, an increase in new cases denotes
1. Increase in incidence rate
2. Increase in prevalence rate
3. Decrease in incidence rate
4. Decrease in prevalence rate

Correct answer: 1. Increase in incidence rate

Explanation: Increased incident rates show that there is an increase in new cases of that particular disease.
Incidence rate is defined as the number of NEW cases occurring in a defined population during a specified period of time.